Which of the following are true for Bronchiolitis in children?
1. Commonly seen in children between 1- 6 months of age, but can be seen upto 2 years
2. RSV is the most common causative organism
3. Disease usually occurs in winter and spring season.
4. All of the above

Correct answer: 4. All of the above

Explanation: Ans. D. All of the aboveBronchiolitis primarily affects young infants (1- 6 months some may be affected upto 2 years of age), clinical manifestations are initially subtle. Infants may become increasingly fussy and have difficulty feeding during the 2 to 5-day incubation period. A low-grade fever, usually less than 101.5degF, and increasing coryza and congestion usually follow the incubation period. In older children and adults, as well as in up to 60% of infants, respiratory syncytial virus (RSV) infection is generally confined to the upper airway and does not progress further. Over a period of 2-5 days, RSV infection progresses from the upper to the lower respiratory tract, and this progression leads to the development of cough, dyspnea, wheezing, and feeding difficulties.